Which of the following is the most common presentation of neurocysticercosis?
1. Seizures
2. Dementia
3. Radiculopathy
4. Focal neurological deficits

Correct answer: 1. Seizures

Explanation: The most common manifestation of neurocysticercosis is new-onset partial seizures with or without secondary generalization. Cysticerci may develop in the brain parenchyma and cause seizures or focal neurologic deficits. Neurocysticercosis is the most common parasitic disease of the CNS worldwide. Humans acquire it by the ingestion of food contaminated with the eggs of the parasite Tinea solium. Toxoplasmosis is a parasitic disease caused by T. gondii and is acquired by the ingestion of undercooked meat and from handling cat feces. Ref: Harrison's Internal Medicine, 18th Edition, Chapter 381